Hallucinations are -
1. Feeling of familiarity with unfamiliar thing
2. Alteration of perception of ones reality
3. Misinterpretation of stimuli
4. Perception occurring without external stimulation

Correct answer: 4. Perception occurring without external stimulation